Which of the following genetic abnormalities is associated with Ewing's sarcoma?
1. Defective gene at 11p13
2. Defective gene at 13q14
3. t(X;18)
4. t(11;22)

Correct answer: 4. t(11;22)

Explanation: Approximately 90% of Ewing sarcoma cases have a t(11;22) translocation. This translocation fuses the EWS gene in band 22q12 with the transcription factor gene FLI1 in band 11q24, producing a hybrid transcript and a chimeric protein. Also Know: A defective gene at 11p13(the WT-1 gene), is associated with Wilms tumor. A defective gene at 13q14 is the Rb gene, which is associated with retinoblastoma and osteosarcoma. t(X;18) is a translocation associated with synovial sarcoma. t(2;13) is a translocation associated with alveolar rhabdomyosarcoma. Ref: Patel S.R., Benjamin R.S. (2012). Chapter 98. Soft Tissue and Bone Sarcomas and Bone Metastases. In D.L. Longo, A.S. Fauci, D.L. Kasper, S.L. Hauser, J.L. Jameson, J. Loscalzo (Eds), Harrison's Principles of Internal Medicine, 18e.